Which of the following is more common in occurrence
1. Cleft palate only
2. Cleft lip only
3. Cleft lip and palate
4. All of the above have equal occurrence

Correct answer: 3. Cleft lip and palate

Explanation: The typical distribution of cleft types is:

Cleft lip alone: 15%;
Cleft lip and palate: 45%;
Isolated cleft palate: 40%.